Prevention of wound infection is done by :a) Pre op shavingb) Pre op antibiotic therapyc) Monofilament sutured) Wound apposition
1. abc
2. acd
3. ac
4. bcd

Correct answer: 4. bcd

Explanation: About Pre-op shaving Bailey writes - "Pre-op shaving should be avoided except for aesthetic reasons or prevent adherence of dressing. If it is to be done, it should be undertaken immediately before surgery as there is a higher infection rate when it is performed the night before, because minor skin injury enhances superficial bacterial colonisation."
Farquharson op. surgery also supports the above view and writes that pre op shaving can be done to get a clear view but it does not reduce infection.

Steps for Reducinj Wound infection
1) Prophylactic antibiotics

is based on the concept that bacterial contamination occurs during surgery, and that the administration of the antibiotic used for prevention must be timed for optimal blood levels during the operations.
antibiotics are administered by intravenous route at the time of induction of anaesthesia


Monofilament sutures are used over polyfilament sutures to prevent infection.
Proper apposition of the wound and prevention of any dead space and hematomas.
Proper washing of hands with a detergent solution containing added chlorhexidine or an iodine based antiseptic.
Bowel preparation for intraabdominal surgeries
Skin preparation with an antiseptic solution
Elimination of any foreign body or dead tissue from the wound.